Bacteria with tuft of flagellae at one end are called -
1. Monotrichate
2. Peritrichate
3. Bipolar
4. Lophotrichate

Correct answer: 4. Lophotrichate

Explanation: Ans. is 'd' i.e., Lophotrichate Two projections from the cells are important in relation to bacteria? i) Flagella ii) Fimbriae Flagella Flagella are the organs of locomotion. All motile bacteria except for spirochetes possess flagella. Flagella are made up of protein antigen flagellin Though flagella of different genera of bacteria have the same chemical composition, they are antigenically different Flagellar antigen induce specific antibodies in high titres. Flagellar antibodies are not protective but are helpful in serodiagnosis. On the basis of arrangement of flagella, bacteria may be divided into -